Teaching children about the side effects of taking drugs comes under:
1. Primary level of prevention
2. Secondary level of prevention
3. Tertiary level of prevention
4. Primordial prevention

Correct answer: 4. Primordial prevention

Explanation: Ans. D i.e. Primordial prevention Primordial prevention It consists of actions and measures that inhibit the emergence of risk factors in the form of environmental, economic, social, and behavioral conditions and cultural patterns of living etc. For example, many adult health problems (e.g., obesity, hypertension) have their early origins in childhood, because this is the time when lifestyles are formed (for example, smoking, eating patterns, physical exercise). In primordial prevention, efforts are directed towards discouraging children from adopting harmful lifestyles